Sin of gommorrah is another name for:
1. Anal intercourse
2. Lesbianism
3. Buccal Coitus
4. Tribadism

Correct answer: 3. Buccal Coitus

Explanation: Ans. (C). Buccal coitus(Ref: Parikh 6th/e p. 5.50, 5.52; Reddy 31st/e p. 401; Rao 2nd/e p. 373-74; Rajes Bardale 1st/e p. 325-26)Unnatural sexual offences:Buccal coitus/sin of GomorrohQ: Oral coitus, penile buccal coitusBestiality/zoophilia: Sex with lower animalsSodomy/Greek loveQ/BuggeryQ: Penile anal intercourseLesbianism/sapphism/Tribadiasm: Female homosexuals.